Permanent erasure of fingerprint is seen following
1. Eczema
2. Scalds
3. Diabetic neuropathy
4. Leprosy

Correct answer: 4. Leprosy

Explanation: Dactylography or Galton system Fingerprints are impressions of patterns formed by the papillary ridges of fingers. Fingerprints do not change throughout life unless damage has occurred to the dermal skin layer. Permanent impairement of fingerprints occur in leprosy, electrical injury, after exposure to radiation, and in dyskeratosis congenita. A very rare medical condition is adermetoglyphia, in which there is absence of finger prints, with no other medical signs or symptoms. Ref: FORENSIC MEDICINE AND TOXICOLOGY Dr PC IGNATIUS THIRD EDITION PAGE NO: 97